Early hormonal sign of puberty
1. Sleep associated increase in LH
2. Early morning rise in temperature
3. Increased FSH to LH ratio
4. Elevated adrenal androgens.

Correct answer: 1. Sleep associated increase in LH

Explanation: Early sign of puberty is Sleep-associated increase in LH secretion.